Which of the following statements regarding T.C. A cycle is true?
1. It is an anaerobic process
2. It occurs in cytosol
3. It contains no intermediates for Gluconeogenesis
4. It is amphibolic in nature

Correct answer: 4. It is amphibolic in nature

Explanation: Ans. D. It is amphibolic in natureTCA is catabolic as well as anabolic. Catabolic as it produces CO2 and H2 O and anabolic as it is indirectly linked to lipogenesis taking citric acid as the major intermediate.